Second molar erupts at -
1. 6 years
2. 12 years
3. 18 to 22 years
4. 25 to 28 years

Correct answer: 2. 12 years

Explanation: Permanent 2nd molar erupts at 12-14 years.